Which of the following vessel is not present in subclavian triangle?
1. Suprascapular artery
2. Occipital artery
3. III part of subcavian artery
4. External jugular vein

Correct answer: 2. Occipital artery

Explanation: Subclavian triangle contains 

Third part of subclavian artery and subclavian vein 
Suprascapular artery and vein 
Commencement of transverse cervical artery and termination of the corresponding vein 
Lower part of external jugular vein